Which of the following drugs can cause Torsades de pointes ?
1. Quinidine
2. Lignocaine
3. Esmolol
4. Flecainide

Correct answer: 1. Quinidine

Explanation: Ans. is 'a' i.e., Quinidine